A 12-year-old girl with the mood and emotional liability has a golden brown discoloration in descemet membrane. Most likely diagnosis is:
1. Fabry's disease
2. Wilson's disease
3. Glycogen storage disease
4. Acute rheumatic fever

Correct answer: 2. Wilson's disease

Explanation: b. Wilson's disease(Ref: Nelson's 20/e p 1939-1940, Ghai 8/e p 320-321)KF ring in Wilson disease is due to deposition of Copper in the Descemet membrane layer of cornea.